McArdle’s maximum allowable sweat rate is
1. 4 lit /4 hours
2. 4 lit /1 hours
3. 4.5 lit/4 hours
4. 4.5 lit/8 hours

Correct answer: 3. 4.5 lit/4 hours